What is the position of lower limb in anterior dislocation of hip?
1. Flexion adduction and internal rotation
2. Flexion adduction and external rotation
3. Flexion abduction and internal rotation
4. Flexion abduction and external rotation

Correct answer: 4. Flexion abduction and external rotation

Explanation: Ans: D (In anterior dislocation the leg lies externally rotated, abducted and slightly flexed) Ref: Apley's System of Orthopaedies and Fractures 9th edition, p H46.Explanation:It is not short, because the attachment of rectus femoris prevents the head from displacing upwards.Occasionally the leg is abducted almost to a right angle.Anterior dislocation is rare compared with posterior.Dislocation of one or even both hips may occur when a weight falls onto the back of a miner or building labourer who is working with his legs wide apart, knees straight and back bent forwards.The femoral head will then lie superiorly (type I - pubic) or inferiorly (type II - obturator).Nine out of ten hip dislocations are posterior.The affected limb will be shortened and internally rotated in posterior dislocationIn an anterior dislocation the limb will not be lengthened . but will be externally rotated, abducted and slightly flexed